In Heme synthesis, which of the following is inhibited by LEAD?
1. Xanthine oxidase
2. ALA dehydratase
3. ALA synthase
4. Uroporphyrin synthase

Correct answer: 2. ALA dehydratase

Explanation: Lead inhibits ALA dehydratase and ferrochelatase, preventing incorporation of iron and causing anemia and porphyria.